Which is the most frequently used gas for laproscopy?
1. Carbon Dioxide
2. Helium
3. Nitrogen
4. Oxygen

Correct answer: 1. Carbon Dioxide

Explanation: Ans. is 'a' i.e., Carbon Dioxide o CO2 is the most common gas used to create surgical pneumoperitoneumo Other gases that have been tried are:a) Heliumb) Nitrous Oxide